Example of asymmetric mixed-onium chlorofumarate is:
1. Rocuronium
2. Vecuronium
3. Gantacurium
4. Atracurium

Correct answer: 3. Gantacurium

Explanation: Gantacurium represents a new class of nondepolarizing neuromuscular blockers called asymmetric mixed-onium chlorofumarates. Ref: Miller's anesthesia-7th ed , Chapter 29.